Lipogranulomatous condition is -
1. TB
2. Chalazion
3. Fungal
4. Viral

Correct answer: 2. Chalazion

Explanation: . Chalazion